The pathogenesis of acute proliferativeglomerulonephritis ?
1. Cytotoxic T-cell mediated
2. Immune complex mediated
3. Antibody mediated
4. Cell-mediated (Typer IV)

Correct answer: 2. Immune complex mediated

Explanation: Ans. is 'b' i.e., Immune complex mediated